After 6 years of age, the Lengthening of mandible occurs mainly
1. at the symphysis
2. between the canines
3. Distal to first permanent molar
4. Along the lower border

Correct answer: 3. Distal to first permanent molar